Which of the following is the commonest cardiac neoplasm in adults?
1. Ventricular rhabdomyoma
2. Atrial myxoma
3. Metastatic tumour
4. Angiosarcoma

Correct answer: 3. Metastatic tumour

Explanation: CARDIAC HEART TUMORS PRIMARY (rare) SECONDARY (more common) MALIGNANT ANGIOSARCOMA-Adults RHABDOMYOSARCOMA - Child Secondary tumour/ Metastasis- M/C tumor in cardiac tissue Most frequent metastasis are from lung and breast carci-nomas, melanomas, leukemias, and lymphomas. BENIGN MYXOMA - Adults (most common primary cardiac tumour) RHABDOMYOMA - Children M/C part of cardiac tissue to be affected - PERICARDIUM.